Psychoanalysis was started by -
1. Eugen Bleuler
2. Sigmund Freud
3. Bleuler
4. Erikson

Correct answer: 2. Sigmund Freud

Explanation: Ans. is 'b' i.e., Sigmund freud NameContributionSigmund FreudPsychoanalysis, free association, psychosexual development (oedipus & electra complex), cocaine in psychiatry, Repression, ego-defence mechanisms, phsychodynamic theory.Phillippe PinelMoral and humane treatment of mentally illJones MaxwellPropagated therapeutic community concept.Kuble RossClassified five stages of death.Erik EriksonDivided life cycle in 8 stages